Triple H therapy for subarachnoid hemorrhage consists of all except -
1. Hypothermia
2. Hypertension
3. hemodilution
4. HyPervolemia

Correct answer: 1. Hypothermia

Explanation: Answer- A. HypothermiaThe three'Es used ln the treatment are : -HneensionHypemolemiaHemodilution